Hunter syndrome is due to deficiency of -
1. Beta galactosidase
2. Sphingomyelinase
3. Iduronate Sulfatase
4. Hyaluronidase

Correct answer: 3. Iduronate Sulfatase

Explanation: Ans. is 'c' i.e., Induronate Sulfatase DiseaseDeficiencyInheritanceGM1 gangliosidosesBeta galactosidaseARMucopolySaccharidosesMPS I-Hurler syndromea-L-iduronidaseARMPS II-Hunter syndromeIduronate sulfataseXRMPS IIISanfilippo syndrome AHeparan sulfamidaseARSanfilippo syndrome BN-acetylglucosaminidaseSanfilippo syndrome CAcetyl-CoA: alphaglucosaminide acetyltransferaseSanfilippo syndrome DN-acetylglucosamine-6-sulfataseMPS IVMorquio syndrome AGalactose-6-sulfate sulfataseARMorquio syndrome BBeta-galactosidaseMPS VI - Maroteaux-Lamy syndromeN-acetylgalactosamine-4-sulfataseARMPS VII - Sly syndromeb-glucuronidaseARMPS IX - Natowicz syndromeHyaluronidaseAR